Finger prints are obtained upto a depth of
1. 2 mm
2. 0.2 mm
3. 6 mm
4. 0.6 mm

Correct answer: 4. 0.6 mm

Explanation: Histological section upto a depth of 0.6 mm from finger pad surface can give satisfactory results. Ridges are present both in dermis and epidermis.